Not true about eukaryotic gene:
1. Polycistronic mRNA
2. Noncoding intron
3. Contain nuclear gene & pseudogene
4. Modification of mRNA before transportation from nucleus

Correct answer: 1. Polycistronic mRNA

Explanation: A i.e. Polycistronic mRNA